Which one of the following is the most common cause for 'Restrictive cardiomyopathy' :
1. Alcohol
2. Hemochromatosis
3. Amyloidosis
4. Sarcoidosis

Correct answer: 3. Amyloidosis

Explanation: Answer is C (Amyloidosis) Although all options mentioned in the question other than alcohol have been listed as causes for restrictive cardiomyopathy, amyloidosis appears to be the contmonest cause amongst them. 'The most frequent causes of restrictive cardiomyopathy are amyloidosis, radiation and myocardial fibrosis fter open heart surgery' 'Myocardial involvement with amyloid is a common cause of secondary restrictive cardiomyopathy'